Proton pump inhibitors are most effective when they are given:
1. After meals
2. Shortly before meals
3. Along with H2 blockers
4. During prolonged fasting periods

Correct answer: 2. Shortly before meals

Explanation: Ans. (B) Shortly before meals(Ref: KDT 8th/e p700)Proton pump inhibitors are used just before meals. Food stimulates the secretion of gastric acid that will be reduced by PPIs if these are given just before meals.